True statement about Rhinosporidiosis is -
1. Most common organism is klebsiella rhinoscleromatis
2. Seen only in immunocompromised patients
3. Present as a nasal polyp
4. Can be diagnosed by isolation of organism

Correct answer: 3. Present as a nasal polyp

Explanation: Rhinosporidiosis is a chronic granulomatous infection of the mucous membrane that usually manifests as vascular friable polyps that arise from the nasal mucosa.